The principal resin constituent of polishable composite resin is
1. Poly methyl methacrylate
2. Polycarbonates
3. Urethane dimethacrylate
4. Cyanoacrylates

Correct answer: 3. Urethane dimethacrylate